All of the following agents are used in the treatment of hot flashes, EXCEPT:
1. Tamoxifen
2. Venlafaxine
3. Gabapentin
4. Paroxetine

Correct answer: 1. Tamoxifen

Explanation: Tamoxifen is a selective estrogen receptor modulator (SERM) which exhibits anti-estrogenic activity on tissues like breast and central nervous system and estrogenic activity on tissues like bone. Tamoxifen produces hot flashes and other adverse effects, including cataracts and nausea . The other three options - Venlafaxine, Gabapentin and Paroxetine are included in the non-hormonal treatment of hot flashes. Ref: Levin E.R., Hammes S.R. (2011). Chapter 40. Estrogens and Progestins. In L.L. Brunton, B.A. Chabner, B.C. Knollmann (Eds), Goodman & Gilman's The Pharmacological Basis of Therapeutics, 12e ; Treatment of the postmenopausal woman: By Rogerio A. Lobo, Pages 3-6.